The release of histamine and leukotrienes from mast cells is prevented by:
1. Zileuton
2. Nedocromil sodium
3. Zafirlukast
4. Fexofenadine

Correct answer: 2. Nedocromil sodium